Structure with highest refractive index:
1. Cornea
2. Lens
3. Aqueous humor
4. Vitreous humor

Correct answer: 2. Lens

Explanation: Lens - 1.41 As opposed to maximum refraction taking place at CORNEA - hence maximum Refractive Power Variable Refractive Power -LENS - due to accomodation